About management of monoamniotic pregnancy , which of the following is TRUE?
1. Trial of labour can be given after ruling out conjoint twins
2. Termination should be planned electively at 32 to 34 weeks by elective LSCS
3. With regular fetal monitoring, pregnancy may be carried on upto term
4. Prophylactic tocolytics to be started from 28 weeks to prevent preterm labour

Correct answer: 2. Termination should be planned electively at 32 to 34 weeks by elective LSCS

Explanation: Timing of elective delivery in twin pregnancy Uncomplicated dichorionic: 38 weeks Uncomplicated monochorionic diamniotic: between 34 to 37 weeks Monoamniotic: 32-34 weeks, To be done by LSCS only due to high risk of conjoint twins, cord entanglement No role of prophylactic tocolytics, progesterones or prophylactic cervical encirclage in twins